Deep branch of ulnar nerve supplies :
1. Adductor pollicis
2. Flexor digitorum superficialis
3. Ist lumbrical
4. All

Correct answer: 1. Adductor pollicis

Explanation: A i.e. Adductor pollicis